Which of the following protein synthesis inhibitor are non?plant toxin:
1. Streptomycin
2. Abrin
3. Ricin
4. Emetine

Correct answer: 1. Streptomycin

Explanation: A i.e. Streptomycin